Which of the following is a  K+ channel opener ?
1. Nifedipine
2. Minoxidil
3. Enalapril
4. Atenolol

Correct answer: 2. Minoxidil